All the following are seen at Transpyloric Plane except
1. Pylorus of Stomach
2. Hilum of Kidney
3. Body of Gall Bladder
4. Neck of Pancreas

Correct answer: 3. Body of Gall Bladder

Explanation: The transpyloric plane is an imaginary transverse plane often referred to in anatomical descriptions.The transpyloric plane of Addison passes midway between the suprasternal notch and the pubic symphysis. It lies roughly a hand's breadth below the xiphisternal joint. Anteriorly, it passes through the tips of the ninth costal cartilage; and posteriorly through the body of vertebra LI near its lower border.It passes through the Pyloric orfice of the stomach, the fundus of the gallbladder, the neck of the pancreas, hila of the kidneys, the origin of the superior mesenteric artery, and the splenic vein.Reference: Chaurasia Volume II; 7th edition; Page no: 414